Which one of the following is semiessential amino acid for humans?
1. Valine
2. Arginine
3. Lysine
4. Tyrosine

Correct answer: 2. Arginine

Explanation: Partially essential or Semiessential: Histidine and Arginine are semi-indispensable amino acids.
Reference: Vasudevan 7th  ed, pg 27